HDL is specifically increased by:
1. Lovastatin
2. Niacin
3. Geinfibrozel
4. Probucol

Correct answer: 2. Niacin

Explanation: Niacin( nicotinic acid) is B3 vitamin. It is the most effective drug to raise HDL-CH probably by decreasing rate of HDL destruction, a 20 - 30% increase in generally obtained. This action is not seen by other drugs. It increases adiponectin, inhibits lipoprotein lipase, thereby enhancing lipolysis. It binds to HCA2 on endothelial cells From essential of medical pharmacology K D Tripathi 7th edition Page no 640